Most common obstetrics nerve palsy in the newborn-
1. Sural nerve
2. Tibial nerve
3. Common peroneal nerve
4. Facial nerve

Correct answer: 4. Facial nerve

Explanation: Brachial plexus and facial nerve injury are commonly seen in obstetrical cases. Brachial plexus injur0y is 1-3 per 1000 deliveries Facial is 0.2-7.5 of 1000 deliveries (mostly low forceps)